Lucid interval is noted in:
1. Injury to head
2. Injury to neck
3. Injury to eye
4. Injury to the abdomen

Correct answer: 1. Injury to head